Which of the following part is the narrowest part of ureter during its course to the bladder?
1. Where it crosses uterine artery
2. At ischial spine
3. Pelvis calyces junction
4. At the entry of bladder

Correct answer: 4. At the entry of bladder

Explanation: The ureter is a retroperitoneal organ that transports urine that is propelled by peristaltic waves from the kidney to the urinary bladder. The adult ureter is about 30cm long. Areas of relative narrowing are found,At the ureteropelvic junctionwhere the ureter crosses over the iliac vesselswhere it courses through the bladder wall.Also know:In males, the ureter courses posterior and medial to the ductus deferens and anterior to the seminal vesicle. In females, the ureter courses lateral to the cervix, where the ureter courses inferior to the uterine artery.Ref: Tanagho E.A. (2008). Chapter 1. Anatomy of the Genitourinary Tract. In E.A. Tanagho, J.W. McAninch (Eds), Smith's General Urology, 17e.